All the following are angiogenic factors EXCEPT ?
1. VEGF
2. PDGF
3. IFN
4. TGF/3

Correct answer: 3. IFN

Explanation: Ans. is 'c' i.e., IFN Angiogenesis o Angiogenesis is the physiological process involving the growth of new blood vessels from pre-existing vessels. o Angiogenesis is a normal and vital process in growth and development, as well as in wound healing and in granulation tissues. o Angiogenesis is also important for growth and distant metastasis tumors. o There are various factors the stimulate angiogenesis, called angiogenic factors: Angiogenin Angiopoietin-1 Del-1 Fibroblast growth factors: acidic (aFGF) and basic (bFGF) Follistatin Granulocyte colony-stimulating factor (G-CSF) Hapatocyte growth factor (HGF)/scatter factor (SF) Interleukin-8 (IL-8) Leptin Midkine Placental growth factor Platelet-derived endothelial cell growth factor (PD-ECGF) Platelet-derived growth factor-BB (PDGF-BB) Pleiotrophin (PTN) Proliferin Transforming growth factor-alpha (TGF-alpha) Transforming growth factor-beta (TGF-beta) Tumor necrosis factor-alpha (TNF-alpha) Vascular endothelial growth factor (VEGF)/vascular permeability factor (VPF). o Impoatn angiogenesis inhibitors are: Soluble VEGFR-1 and NRP-1 Angiopoietin2 TSP-1 & TSP-2 Angiostatin, Vasostatin, Calreticulin, Canstatin Platelet factor 4 (PF4) Meth-1 and meth-2 IFN a, fi, y Prolactin Osteopontin Maspin VEGI, SPSRC, TIMP, CDAI